Lateral border of cubital fossa is formed by-
1. Pronator teres
2. Brachioradialis
3. Supinator
4. Brachialis

Correct answer: 2. Brachioradialis

Explanation: Ans. is 'b' i.e., BrachioradialisCubital FossaLateral boundryBrachioradialisMedial boundryPronater teresBaseLine joining the two epicondyles of humerusApexPoint joining lateral and medial boundriesFloorBrachialis, supinatorRoofSkin, superficial fascia (containing medial cubital vein, lateral and medial cutaneous nerve of forearm), deep facia, bicipital aponeourosis